Most important investigation for posterior urethral valve:
1. Urethroscopy
2. IVP
3. Retrograde cystogram
4. Micturating cystogram (MCU)

Correct answer: 4. Micturating cystogram (MCU)

Explanation: Ans. D: Micturating cystogram (MCU) Micturating cystography is mainly done to assess urethra for any outflow obstruction and stress incontinence Also done to demonstrate vesico-ureteric reflux especially in children Radiological signs of urinary tract: Bilateral spider leg pattern: Polycystic kidney Thimble bladder: Chronic TB Golf hole ureter: Tb urinary bladder Rim sign: Hydronephrosis Adder head/ cobra head appearance: Ureterocoele